A 30 year old patient presented with history of jaundice for 10 days. His liver function tests showed bilirubin of 10 mg/dl, SGOT/SGPT - 1100/1450, serum alkaline phosphatase -240 IU. He was positive for HBsAg. What should be the confirmatory test to establish acute hepatitis B infection -
1. IgM anti-HBc antibody
2. HBe Ag
3. HBV DNV by PCR
4. Anti-HBc antibody

Correct answer: 1. IgM anti-HBc antibody